Which diuretic be considered appropriate for combining with ACE inhibitors?
1. Spironolactone
2. Eplerenone
3. Hydrochlorothiazide
4. Amiloride

Correct answer: 3. Hydrochlorothiazide

Explanation: Thiazides, loop diuretics produce hypokalemia which can be compensated with hyperkalemia produced by ACE inhibitors Potassium-sparing diuretics like spironolactone, eplerenone, amiloride - produce hyperkalemia- so not to be used with ACE inhibitors ( Essentials of medical pharmacology, K.D Tripathi, 6 th edition, page 568 )